In which of the following, intraocular pressure is very high and inflammationis minimum?
1. Glaucomatocyclic crisis
2. Acute iridocyclitis
3. Hypetensive uveitis
4. Angle closure glaucoma

Correct answer: 1. Glaucomatocyclic crisis

Explanation: (Ref: Khurana 7th/e p.175 & 4th/e p.160) Glaumatocyclic crisis Glamatocyclitic crisis (Posner - Schlossman syndrome) is a unilateral recurrent non-granulomatous iritis that associated with an elevated ocular pressure during the attacks. This self-limiting condition tends to occur in persons. A mild inflammatory reaction is very rarely present as evidenced by a few keratic precipitates on the posterior surface of the cornea. Many patients (55%) subsequently develop open angle glaucoma.